All of the following statements about recurrent laryngeal papillomatosis are true, Except -
1. Caused by human papilloma virus (HPV)
2. HPV6 and HPV11 are most commonly implicated
3. HPV6 is more virulent than HPV11
4. Transmission to neonate occurs through contact with mother during vaginal delivery

Correct answer: 3. HPV6 is more virulent than HPV11